Which one of the following statements about chromatin is not true?
1. DNA winds approximately 1.75 times around the nucleosomes
2. H2A-H2B bind to both the entry and exit ends of DNA in nucleosomes
3. Covalent modification of histones influence chromatin compaction
4. Non-histone proteins are part of mitotic chromosomes

Correct answer: 2. H2A-H2B bind to both the entry and exit ends of DNA in nucleosomes

Explanation: Histones The ~145 bp of DNA, consisting of 1.75 superhelical turns, are in contact with the histone octamer Phosphorylation of histone H1 is associated with the condensation of chromosomes and acetylation of core histones is associated with chromosomal assembly Mitotic chromosomes contain scaffold proteins which are non-histone proteins In nucleosomes, entry of DNA is bound by H2A-H2B histones, exit end is bound by H1 histones.